Features of rheumatic carditis are all except -
1. Aschoff nodule
2. Lymphatic infiltration
3. Myocardial fibrosis
4. Intramyocardial microemboli

Correct answer: 4. Intramyocardial microemboli